Protein deposited in familial amyloid neuropathy:
1. Mutated transthyretin
2. Normal transthyretin
3. Mutated β2
4. Normal β2

Correct answer: 1. Mutated transthyretin

Explanation: "Transthyretin (TTR) is a normal serum protein that binds and transports thyroxine and retinol, hence the name trans-thy-retin.
A mutant form of transthyretin (and its fragments) is deposited in a group of genetically determined disorders referred to as familial amyloid polyneuropathies. Several mutations have been identified in the transthyretin protein that contributes to its deposition in tissues in the form of amyloid. Transthyretin is also deposited in the heart of aged individuals (senile systemic amyloidosis), but in such cases, the transthyretin molecule is structurally normal.
                                 Table: Classification of Amyloidosis